Defect in phenylketonuria
1. Phenylanine hydroxylase
2. Homogentisate oxidase
3. Pyruvate hydroxylase
4. Fumarylacetoacetate hydroxylase

Correct answer: 1. Phenylanine hydroxylase

Explanation: In this condition phenylalanine can't be converted to tyrosine, so phenylalanine accumulates and it's level in blood is elevated.Ref: DM Vasudevan - Textbook of Biochemistry, 7th edition, page no: 236, fig 18.1